ABO blood group inheritance is an example of
1. A. Co dominance
2. B. Mitochondrial inheritance
3. C. Allelic exclusion
4. D. Sex linked inheritance

Correct answer: 1. A. Co dominance

Explanation: When both of the allels of a gene pair contribute to the phenotype ,this is called as Co dominance. Good examples of co dominant inheritance are; Histocompatibility Blood group antigens Refer robbins 9/140